Which anesthetic agent is contraindicated in porphyria:
1. Propofol
2. Ketamine
3. Thiopentone
4. Etomidate

Correct answer: 3. Thiopentone

Explanation: Ans: (c) ThiopentoneRef: KDT 6th ed./374* Thiopentone is an ultrashort acting thiobarbiturate because of rapid redistribution.* It has poor analgesic property.* I/v injection is very painful. Therefore it is contraindicated unless opioids or N2O has been given.* Contraindicated in porphyria patientsAlso Know*Etomidatei insufficiency.* Drugs safe in patients with porphyria: Propofol